During cardiac surgery of a 45-year-old male the cardiac surgeon can place her fingers in the transverse pericardial sinus, if necessary. This allows the surgeon to easily place a vascular clamp upon which of the following vessels?
1. Right and left pulmonary veins
2. Superior and inferior vena cava
3. Right and left coronary arteries
4. Pulmonary trunk and ascending aorta

Correct answer: 4. Pulmonary trunk and ascending aorta

Explanation: A finger passing through the transverse pericardial sinus passes directly behind the great arteries exiting the heart, allowing the surgeon to rather easily place a vascular clamp upon the pulmonary trunk and ascending aorta. The other vessels listed are not readily accessible by way of the transverse sinus.